A 22 year old female, Neeta presented to you with complaints of headache and vomiting since 2 months. She is having amenorrhea but urine pregnancy test is negative. She also complained of secretion of milk from the breasts. A provisional diagnosis of hyper prolactinemia was made and MRI was suggested. MRI confirmed the presence of a large pituitary adenoma. Neeta was advised surgery, however, she is not willing to undergo surgery. Which of the following medications is most likely to be prescribed?
1. Sumatriptan
2. Bromocriptine
3. Ergotamine
4. Allopurinol

Correct answer: 2. Bromocriptine

Explanation: Ans. (B) Bromocriptine(Ref: KK Sharma 2/e p550, KDT 8/e p24)Bromocriptine is a D2 agonist and is useful in hyperprolactinemia by its action to inhibit the release of prolactin.